Most common type of malignant melanoma is
1. Superficial spreading
2. Nodular melanoma
3. Lentigo maligna melanoma
4. Acral lentiginous melanoma

Correct answer: 1. Superficial spreading

Explanation: A. i.e. (Superficial spreading melanoma) (613 -B & L 25th) (111- 13 S. Das 5th)MALIGNANT MELANOMA* Commonest type is superficial spreading melanoma (70%) and Least is acral lentiginous melanoma (2 - 8%)* Nodular melanoma is the most malignant form*** The presence of lymph node metastasis is the single most important prognostic index in melanoma* Skin is the most common site of malignant melanoma (palms, soles and external genitalia are the common site)* Cardinal symptoms of malignant change in a mole or naevus1. Increase in size2. Change in colour3. Bleeding4. Evidence of local spread5. Enlarged regional lymph nodes